Tumors metastatic to the jaw bones are most likely to be found in the
1. Mandibular condyle
2. Posterior moral region
3. Anterior maxilla
4. Maxillary tuberosity

Correct answer: 2. Posterior moral region